Which of the following level does the aorta pass through the diaphragm?
1. T6
2. T8
3. T10
4. T12

Correct answer: 4. T12

Explanation: The abdominal aorta begins in the midline at the aortic opening of the diaphragm, opposite the lower border of vertebra T12. It runs downwards and slightly to the left in front of the lumbar vertebrae, and ends in front of the lower part of the body of vertebra L4. Ref : B D Chaurasia's Human Anatomy , seventh edition , volume 2 , pg. no. 367